Which of the following characterizes Q fever?
1. Has an incubation period of four to six weeks
2. is an acute febrile illness caused by Coxiella Burnetii
3. Is an illness confined to the upper respiratory tract
4. Is most commonly found in tropical region

Correct answer: 2. is an acute febrile illness caused by Coxiella Burnetii

Explanation: Q fever is an acute, flulike illness caused by C. burnetii. It is the one rickettsial disease not transmitted by the bite of a tick. C. burnetii is found in high concentrations in the urine, feces, and placental tissue/amniotic fluid of cattle, goats, and sheep. Transmission to humans is by aerosol inhalation of those specimens.